Cells responsible for basal cell carcinoma are ?
1. Melanocytes
2. Epidermal cells
3. Merkel's cells
4. Dermal cells

Correct answer: 2. Epidermal cells

Explanation: Answer-B. Epidermal cellsBasal cell carcinoma (BCC) is a nonmelanocytic skin cancer (ie, an epithelial tumor) that arises from basal cells (i.e, small, round cells found in the lower most layer of the epidermis).